Which of the following methods of treating eclampsia has the LEAST effect on neonates:
1. Lytic cocktail regime
2. MgSO4 regime
3. Diazepam therapy
4. Phenobarbitone therapy

Correct answer: 2. MgSO4 regime

Explanation: Ans. B. MgSO4 regimeMagnesium sulfate to control convulsionsIn more severe cases of preeclampsia as well as eclampsia, magnesium sulfate administered parenterally is the effective anti-convulsant agent without producing CNS depression in either the mother or the infantsa. Because labor and delivery is more likely time for convulsions to develop, women with preeclampsiaEclampsia usually are given magnesium sulfate during labor and for 24 hours postpartum.a. Magnesium sulfate is not given to treat hypertensionb. Monitoring with (I) Knee jerk (II) Urine output (III) Respiratory rate